Hypercoagulation in nephrotic syndrome is a result of:
1. Loss of Antithrombin III
2. Decreased Fibrinogen
3. Decreased Metabolism of Vitamin K
4. Increase in protein C

Correct answer: 1. Loss of Antithrombin III

Explanation: The Loss of Antithrombin III may be the reason for hypercoaguability in Nephrotic Syndrome. Thrombotic and thromboembolic compliactions are common in Nephrotic Syndrome due to loss of anticoagulant factor (Antithrombin III, Protein C and S) combined with increased platelet activation, hyperfibrinogenemia in liver and impaired fibrinolysis. Ref: Therapy of Renal Diseases and Related Disorders By Wadi N. Suki, Shaul G. Massry, Page 322; Harrison's Principles of Internal Medicine, 16th Edition, Page 1684.